Tick borne Relapsing Fever is caused by:
1. Borrelia recurrentis
2. Borrelia burgdorferi
3. Rickettsia prowazeki
4. Borellia hermsii

Correct answer: 4. Borellia hermsii

Explanation: Borellia hermsii